Complete Rx of intussception indicates?
1. Free passage of barium in the terminal ileum
2. Passage of faceus and flatus along with barium
3. Improvement of clinical condition
4. None

Correct answer: 1. Free passage of barium in the terminal ileum

Explanation: In the infant with ileocolic intussusception, after resuscitation with intravenous fluids, broad-spectrum antibiotics and nasogastric drainage, non-operative reduction can be attempted using an air or barium enema.Successful nreduction can only be accepted if there is free reflux of air or barium into the small bowel, together with resolution of symptoms and signs in the patient. Ref: Bailey & Love's Short Practice of Surgery,E25,Page-1198